Children with Thalassemia and Iron overload are at an increased risk for infection with:
1. Yersinia Enterocolitica
2. Campylobacter jejuni
3. Escherichia coli
4. Vibrio cholera

Correct answer: 1. Yersinia Enterocolitica

Explanation: a. Yersinia enterocolitica(Ref: Nelson's 20/e p 2325)Iron therapy may increase the virulence of malaria and certain, gram-negative bacteria, particularly in developing countries.Iron overload is associated with Yersinia infection.